Ophthalmic artery is a branch of which part of ICA -
1. Cervical
2. Petrous
3. Cavernous
4. Cerebral

Correct answer: 4. Cerebral